Which of the following drug can have increased effect when given with heparin?
1. Narcotics
2. NSAIDS
3. OCPS
4. Salbutamol

Correct answer: 2. NSAIDS

Explanation: Heparin Interactions: Salicylates, other nonsteroidal anti-inflammatory agents, dextran, dipyridamole and ticlopidine interfere with platelet aggregation which increases the risk of bleeding. Use with caution and monitor patients for signs of hemorrhage. Cefamandole, cefotetan, methimazole, propylthiouracil and valproic acid may cause hypoprothrombinemia and increase the risk of bleeding; monitor patient for signs of bleeding. Oral anticoagulants (i.e., warfarin)and Heparin are given together, each may contribute to an increase in PT and APTT should be taken into account. Probenecid also increase and prolong the anticoagulant action of heparin. OCP causes a hypercoaguable state.